The hard palate contains
1. Keratinized epithelium, submucosa, minor salivary glands
2. Keratinised epithelium, absent submucosa, no salivary glands
3. Non-keratinised epithelium, submucosa, minor salivary glands
4. Non-keratinised epithelium, absent submucosa, minor salivary glands

Correct answer: 1. Keratinized epithelium, submucosa, minor salivary glands

Explanation: The hard palate contains keratinized stratified squamous epithelium, has a submucosa, and contains minor salivary gland. The bony structure of the hard palate is covered by a firmly attached mucosa in the central part. In the lateral parts, the hard palate also has a submucosal layer containing blood vessels. There are minor mucous type salivary glands in the submucosa in the posterior part of the hard palate. Ref: Gray's Anatomy 41st edition Pgno: 510